Lower urethral involvement of vulval carcinoma without inguinofemoral nodes is seen in :
1. Stage I
2. Stage II
3. Stage III
4. Stage IV

Correct answer: 2. Stage II

Explanation: Staging of vulval cancer: Stage I ---- Tumour confined to the vulva IA Lesions cm in size, confined to the vulva or perineum and with stromal invasion .0 mm*, no nodal metastasis IB Lesions .2 cm in size or with stromal invasion .1.0 mm*, confined to the vulva or perineum, with negative nodes Stage II ---- Tumour of any size with extension to adjacent perineal structures (1/3 lower urethra, 1/3 lower vagina, anus) with negative nodes Stage III ---- Tumour of any size with or without extension to adjacent perineal structures (1/3 lower urethra, 1/3 lower vagina, anus) with positive inguino- femoral lymph nodes IIIA (i) With 1 lymph node metastasis ($5 mm), or (ii) 1-2 lymph node metastatis(es) (,5 mm) IIIB (i) With 2 or more lymph node metastases ($5 mm), or (ii) 3 or more lymph node metastases (,5 mm) IIIC With positive nodes with extracapsular spread Stage IV ---- Tumour invades other regional (2/3 upper urethra, 2/3 upper vagina), or distant structures. IVA Tumour invades any of the following: (i) Upper urethral and/or vaginal mucosa, bladder mucosa, rectal mucosa, or fixed to pelvic bone, or (ii) Fixed or ulcerated inguino-femoral lymph nodes IVB Any distant metastasis including pelvic lymph nodes Reference: Shaw's Textbook of Gynaecology 16th edition page no 479